All the following are components of APGAR Score EXCEPT:
1. Muscle tone
2. Color of the body
3. Heart Rate
4. Respiratory Rate

Correct answer: 4. Respiratory Rate

Explanation: ANSWER: (D) Respiratory RateREF: William's Obstetric 22nd edition chapter 28 Table 28-2, http://en.wikipedia.org/wiki/Apgar_ score"Respiratory effort not rate is a part of Apgar scoring system"APGAR SCORE:A useful clinical tool to identify those neonates who require resuscitation as well as to assess the effectiveness of any resuscitative measures is the Apgar scoring system (Apgar, 1953). As shown in each of the five easily identifiable characteristics--heart rate, respiratory effort, muscle tone, reflex irritability, and color--is assessed and assigned a value of 0 to 2. The total score, based on the sum of the five components, is determined 1 and 5 minutes after delivery. Score of 0Score of 1Score of 2Component of acronymSkin color/ Complexionblue or pale all overblue at extremities body pink (acrocyanosis)no cyanosisbody and extremitiespinkAppearancePulse rateAbsent<100>100PulseReflex irritabilityno response to stimulationgrimace/feeble cry when stimulatedcry or pull away when stimulatedGrimaceMuscle tonenonesome flexionflexed arms and legs that resist extensionActivityBreathing(respiratoryeffort)absentweak, irregular, gaspingstrong, lusty cryRespiration